Inward flow of Na+ in heart leads to
1. Plateau phase
2. Action potential
3. Repolarization
4. No Change

Correct answer: 2. Action potential

Explanation: Ans. (b) Action potential(Ref: Ganong, 25th ed/p.521)To be more precise, influx of sodium ions causes depolarization of ventricular action potential. It is usually seen in the form of a rapid upstroke (spike)